Which of the following drugs prevents the release of leukotrienes and histamine from mast cells ?
1. Zileuton
2. Fexofenadine
3. Nedocromil
4. Tiotropium

Correct answer: 3. Nedocromil